Secondary prevention is applicable to ?
1. Causal factors
2. Early stage of disease
3. Late stage of disease
4. None of the above

Correct answer: 2. Early stage of disease

Explanation: Ans. is 'b' i.e.,Early stage of disease Primordial prevention - Before risk factor present.Primary prevention - Before onset of disease (risk factor present).Secondary prevention - In early stage of disease.Tertiary prevention - Late stage of disease.